Which of the following is scotochromogen-
1. M. scrofulaceum
2. M. ulcerans
3. M. Kansasii
4. M. fortuitum

Correct answer: 1. M. scrofulaceum

Explanation: Ans. is 'a' i.e., M. Scrofulaceum